On per vaginal examination, anterior fontanelle and supraobital ridge is felt in the second stage of labour. The presentation is :
1. Brow presentation
2. Deflexed head
3. Flexed head
4. Face presentation

Correct answer: 1. Brow presentation

Explanation: Ans. is a i.e. Brow presentation Palpation on per vaginal examination Presentation Occiput and posterior fontanelle (Anterior fontanelle not felt easily) Both fontanelle felt easily Anterior fontanelle (bregma) is felt at one end and root of nose (nasion) & orbital ridges at the other end of an oblique or transverse diameter. Mouth with hard alveolar margins with nose, malar eminence, superior orbital ridges and mentum. Vertex (Occipito anterior position) Vertex (Occipito posterior position) Brow Face Also Know : On palpation, difference between face and breech presentations : Face Mouth and malar eminences form a triangle Alveolar margins hard Sucking effect of mouth No meconium staining Breech lschial tuberosities & anus are in a line Anal margins soft Grip of anal sphincter Meconium staining on finger